Impacted canines
1. Most likely to be ankylosed
2. They may damage roots of other teeth
3. Good function is impossible without them
4. They will not erupt until root formation is complete

Correct answer: 2. They may damage roots of other teeth